Pigmentary glaucoma shows
1. Fevy line
2. Flesscher line
3. Hadson hauti line
4. Krukenberg spindle

Correct answer: 4. Krukenberg spindle

Explanation: PIGMENTARY GLAUCOMAIt is a type of secondary open-angle glaucoma wherein clogging up of the trabecular meshwork occurs by the pigment particles. About 50% of patients with the pigment dispersion syndrome develop glaucoma.Pathogenesis. The exact mechanism of pigment shedding is not known. It is believed that, perhaps, pigment release is caused by mechanical rubbing of the posterior pigment layer of iris with the zonular fibrils.Clinical features. The condition typically occurs in young myopic males. Characteristic glaucomatous features are similar to primary open angle glaucoma(POAG), associated with deposition of pigment granules in the anterior segment structures such as iris, posterior surface of the cornea (Krukenberg's spindle), trabecular meshwork, ciliary zonules and the crystalline lens. Gonioscopy shows pigment accumulation along the Schwalbe's line especially inferiorly (Sampaolesi's line). Iris transillumination shows radial slit-like transillumination defects in the mid-periphery (pathognomonic feature).Treatment: It is exactly along the lines of primary open-angle glaucoma.Ref: Khurana; 4th edition; Pg. 234